Cilastatin is given along with
1. Imipenem
2. Amoxycillin
3. Erythromycin
4. Ampicillin

Correct answer: 1. Imipenem